The first gastrectomy was performed in 1881 by -
1. Mickuliz
2. Wolfer
3. Billroth
4. Moynihan

Correct answer: 3. Billroth

Explanation: • The first successful gastrectomy was performed by Theodor Billroth in 1881 for cancer of the stomach.
• Historically, gastrectomies were used to treat peptic ulcers. These are now usually treated with antibiotics, as it was recognized that they are usually due to Helicobacter pylori.
• In the past a gastrectomy for peptic ulcer disease was often accompanied by a vagotomy, to reduce acid production, nowadays, managed with PPIs.
• Gastrectomies are performed to treat cancer and perforations of the stomach wall.
• In severe duodenal ulcers it may be necessary to remove the pylorus and the upper portion of the duodenum.
• If there is a sufficient portion of the upper duodenum remaining, a Billroth I procedure is performed, where the remaining portion of the stomach is reattached to the duodenum before the bile duct and the duct of the pancreas (Gastroduodenostomy)
If the stomach cannot be reattached to the duodenum, a Billroth II is performed, where the remaining portion of the duodenum is sealed off, a hole is cut into the jejunum and the stomach is reattached at this hole (Loop gastrojejunostomy).